In IgA nephropathy (Berger's disease), there are ?
1. Subepithelial deposits
2. Subendothel i al deposits
3. Mesangial deposits
4. Basement membrane deposits

Correct answer: 3. Mesangial deposits

Explanation: Ans. is 'c' i.e., Mesangial deposits